Cysticercus cellulosae is seen in infection with:-
1. T. solium
2. T. saginata
3. Echinococcus granulosus
4. H.nana

Correct answer: 1. T. solium

Explanation: Cysticercus cellulosae is the larval form of Taenia solium. It is found in the tissues of the intermediate host, pig. However, it can also be found in human tissues in cysticercosis. Cysticercosis is usually acquired by eating food or drinking water contaminated by tapeworm eggs from humanfeces or by autoinfection. The oncospheres released penetrates the GI mucosa, enter bloodstream and invade host tissues, where they further develop into larvae called cysticerci.